Human colostrum contains more of the following nutrients than mature human milk, except -
1. Lactose
2. Minerals
3. Proteins
4. Vitamin A

Correct answer: 1. Lactose

Explanation: Ans. is 'a' i.e., Lactose o Sugar is less in clostrum.